U/L vocal cord palsy treatment includes:
1. Isshiki type I thyroplasty
2. Isshiki type II thyroplasty
3. Woodmann operation
4. Laser aenoidectomy

Correct answer: 1. Isshiki type I thyroplasty

Explanation: Combined (Complete) Paralysis (Recurrent & Superior Laryngeal nerve paralysis): Unilateral It leads to paralysis of all the muscles of larynx on one side except the cricoarytenoiddeg which also receive innervations from the opposite side. Vocal cord of the affected side will lie in the cadavaric position.The healthy cord is unable to approximate the paralysed side. This results in hoarseness of voice and aspiration occurs through the glottis. Treatment Speech therapy - With proper speech therapy the healthy cord may approximate the paralysed cord. Procedures to medialise the cord Injection of Teflon paste, lateral to the paralysed cord Thyroplasty type I Muscle or cartilage implant Arthrodesis of cricoarytenoid joint (Also known as Reversed Woodman's operation) - Logan &Turner 10th/182 Woodman's operation (External arytenoidectomy) is done in bilateral abductor paralysis- Logan & Turner 10th/183 Endoscopic laser arytenoidectomy & lsshiki type II thyroplasty is done for lateralization of cord (in bilateral abductor paralysis) Dhingra 5th/318.319&362